Schuller's view is for
1. Sphenoid sinus
2. Mastoid air cells
3. Frontal sinus
4. None of the above

Correct answer: 2. Mastoid air cells

Explanation: Schuller's view : Similar to Law's view but cephalocaudal beam makes an angle of 30deg to the sagittal. Structures seen are: (a) External canal superimposed on internal canal. (b) Mastoid air cells. (c) Tegmen. (d) Lateral sinus plate. (e) Condyle of mandible. (f) Sinodural angle. (g) Antrum and upper part of attic (i.e. key area). This view is taken to see the extent of pneumatization, estruction of intercellular septa (as in mastoiditis), location of sinus plate and tegmen, cholesteatoma and longitudinal fracture of petrous pyramid. Ref: Dhingra 7e pg 493.